Standard deviation is a measure of:
1. Correlation
2. Statistical significance
3. Central tendency
4. Variation

Correct answer: 4. Variation